ICDS include children upto age of_______ years
1. 3
2. 5
3. 6
4. 14

Correct answer: 3. 6

Explanation: Ans. (c) 6Ref: K. Park 23rd ed. / 590,661, 21st ed. /545, 611* ICDS is Integrated Child Development Services which was started in 1975.* This program include a strong supplementary nutrition component in form of Vitamin A prophylaxis and iron & folic acid distribution.* The workers at village level who deliver the services are called Anganwadi workers.Beneficiaries of ICDS* Preschool children below 6 years.* Adolescent girls 11 to 18 years old.* Pregnant and lactating mothers.